A 60-year old man is diagnosed to be suffering from Legionnaires' disease after the returns home from attending a convention. He could have acquired it ?
1. From a person suffering from the infection while travelling in the aeroplane
2. From a chronic carrier in the convention center
3. From inhalation of the aerosol in the air conditioned room at convention center
4. By sharing an infected towel with a fellow delegate at the convention

Correct answer: 3. From inhalation of the aerosol in the air conditioned room at convention center

Explanation: Ans. is 'c' i.e., From inhalation of the aerosols in air conditioned room at convention centre "Human infection is typically by inhalation of aerosals is produced by cooling towers, air conditioners, and shower heads which act as disseminators." In this question, consumption of water is not provided in the option. Thus, the best answer is inhalation of aerosols.